There are hard dark brown lesions on the labial surface of all four primary cuspids in  seven year old child, the teeth are not painful and scraping with spoon excavator  yields only a few ﬂecks of dried discoloured dentin. What are these lesions?
1. Active carious lesions
2. Arrested carious lesions
3. Local enamel hypoplasia
4. Abrasion

Correct answer: 2. Arrested carious lesions

Explanation: Arrested caries
With the shift in the oral conditions, even advanced lesions may become arrested. Arrested caries involving dentin shows a marked brown pigmentation and induration of the lesion . There are hard dark brown lesions, the teeth are not painful and scraping with spoon excavator yields only a few ﬂecks of dried discoloured dentin.
 
Reference: TEXTBOOK Of PEDODONTICS Shobha Tandon page no 180